Milwaukee brace is used in the treatment of
1. Scoliosis
2. Kyposis
3. Cubitus varus
4. Genu varum

Correct answer: 1. Scoliosis

Explanation: The Milwaukee brace is principally a thoracic support consisting of a pelvic corset connected by adjustable steel supports to a cervical ring carrying occipital and chin pads.Its purpose is to reduce the lumbar lordosis and encourage active stretching and straightening of the thoracic spineIt is used in the conservative management of idiopathic scoliosis(Refer: Mohindra's Fundamentals of Orthopedics, 2nd edition, pg no. 244, 245)